Which among the following causes staining of burnt area
1. Sulfamylon
2. Povidone iodine
3. Silver nitrate
4. Mafenide

Correct answer: 3. Silver nitrate

Explanation: Silver nitrate causes staining of burnt area.